Lignocaine can be used in all except -
1. Ventricular fibrillation
2. Spinal anaesthesia
3. Epidural anaesthesia
4. Convulsions

Correct answer: 4. Convulsions

Explanation: Ans. is 'd' i.e., Convulsion o Lidocaine can be used in surface anaesthesia, infiltration anaesthesia, conduction block, spinal anaesthesia, epidural anaesthesia, intravenous regional anaesthesia (intravasular infiltration anaesthesia) and in arrhythmias (ventricular tachyarrhythmias).